"Pseudomembranous" colitis is caused by:
1. Clostridium botulinum spores
2. Clostridium difficile
3. Clostridium perfringens
4. Clostridium tetani

Correct answer: 2. Clostridium difficile

Explanation: Clostridium difficile